Hemoconcentration is seen In?
1. Normal pregnancy
2. Preeclampsia
3. Ectopic pregnancy
4. All of the above

Correct answer: 2. Preeclampsia

Explanation: Ans. is 'b' i.e., PreeclampsiaPreeclampsia is a pregnancy specific syndrome of reduced organ perfusion secondary to vasospasm and endothelial activation characterized by BP 140/90 mm Hg after 20 weeks of gestation and proteinuria 300 mg per 24 h after 20th week in a previously normotensive and nonproteinuric patient.